what is the root value of phrenic nerve?
1. C3,4,5
2. C2,3,4
3. C4,5,6
4. C5,6,7

Correct answer: 1. C3,4,5

Explanation: * Phrenic nerve (C3,C4,C5)- It descends in front of scalenus anterior muscle . * Descends down to enters thorax where it lies between subclavian vein(in front) and subclavian artery lies behind it . * Further it descends in front of hilum of the lungs (whereas vagus nerve descends behind the hilum of lungs) * It is mixed nerve sensory and motor.(both motor and sensory to diaphragm)